Given below is the lab details of a patient suffering from Hepatitis B virus infection. What do the test indicate


HBs Ag
Negative


AntiHBsAg
Negative


IgM antiHBC
Positive


IgG anti HBC
Negative
1. Chronic infection
2. Immunisation
3. Window period
4. Previous infection

Correct answer: 3. Window period

Explanation: IgG anti HBC is the only serological marker detectable during window period.